Highest calcium Concentration is present in
1. Dates
2. Guava
3. Amla
4. Halibut Liver oil

Correct answer: 1. Dates